To define obesity on the basis of BMI, it should be-
1. >20
2. >30
3. >35
4. >40

Correct answer: 2. >30

Explanation: Ans. is 'b' i.e., > 30 ClassificationBMI (kg/m2) Global population (WHO international)Indian populationGrade III (severe) underweight< 16 Grade II (moderate) underweight16[?]0 - 16[?]9 Grade I (mild) underweight17[?]0- 18[?]49 (< 18[?]5)< 18[?]5Normal18[?]5 - 24[?]9918[?]5-22[?]99Overweight (Pre-obese)25-29[?]9923 - 24[?]99Obesity:>30>25# Class I30[?]00 - 34[?]99 # Class II35[?]00 - 39[?]99 # Class III> 40[?]00